Ritcher's transformation is associated with?
1. CML
2. CLL
3. AML
4. ALL

Correct answer: 2. CLL

Explanation: Ans. is 'b' i.e. CLL * Richter's syndrome (RS), also known as Richter's transformation, is a transformation which occurs in about 5-10% of B cell chronic lymphocytic leukemia (CLL) and hairy cell leukemia into a fast-growing diffuse large B cell lymphoma, a variety of non-Hodgkin lymphoma which is refractory to treatment and carries a bad prognosis.* CLL has a tendency to transform into more aggressive lymphoid neoplams:-A. Prolymphocytic leukemia - Characterized by worsening of cytopenia, marked splenomagaly and appearance of prolymphocytes in the peripheral blood.B. Richiter syndrome - CLL is transformed into diffuse large B-cell lymphoma